Phase I blocker is:
1. Depolarization blockade
2. Desensitization blockade
3. Both
4. Neither

Correct answer: 1. Depolarization blockade

Explanation: Phase I blockade is normal action of succinyl choline as depolarization neuromuscular blocker . Phase 2 blockade is is abnormal action of succinylcholine when given in repeated dose and is called desensitisation block. Due to repeated dose the nicotinic cholinergic receptor becomes desensitized by the effect of succinylcholine and now it cannot depolarize it.